H zone contains
1. Only myosin
2. Actin and myosin
3. Alfa actinin
4. None

Correct answer: 1. Only myosin

Explanation: H zone contains Only myosin M line passes from centre of H zone Ref:Guyton and Hall textbook of medical physiology 12th century edition,page number:86,87